Commonest cause of colonic obstruction in neonates is -
1. Meconium ileus
2. Aganglionic colon
3. Heal atresia
4. Volvulusd) Hernia

Correct answer: 2. Aganglionic colon

Explanation: Ans. is 'b' i.e., Aganglionic colon i) Option 'a & c' are causes of small bowel obstruction not colonic obstruction ii) Most common cause of Intestinal obstruction in a neonate is Intestinal atresia - p. 1133, 1232 Nelson